First sign of sympathetic Ophthalmitis is:
1. Circumcorneal congestion
2. Hypopyon
3. Retrolental flare
4. Iris nodule

Correct answer: 3. Retrolental flare

Explanation: First sign in sympathetic ophthalmitis : retrolental flare Sympathetic ophthalmitis ( Pan uveitis)* B/L granulomatous uveitis* Caused by trauma to 1 eye- Injured eye - Exciting eye- other eye - Sympathizing eye - Accommodation failure in good eye Earliest sign: Retrolental flare - Mutton fat KP's